Perforation of tympanic membrane with destruction of tymapnic annulus is called -
1. Attic
2. Marginal
3. Subtotal
4. Total

Correct answer: 2. Marginal